Rivastigmine is given in:
1. Depression
2. Alzheimer's disease
3. Schizophrenia
4. OCD

Correct answer: 2. Alzheimer's disease

Explanation: (Ref: Katzung, 10th ed. Ch 7)* Rivastigmine is a parasympathomimetic drug used for the treatment of mild to moderate dementia of the Alzheimer's type and dementia due to Parkinson's disease* DOC for Alzheimer's disorder-Donepezil* DOC for OCD: Fluoxetine* DOC for parkinsonism: Levodpa + Carbidopa* DOC for drug induced parkinsonism: Benzhexol (centrally acting anticholinergic)